Which of the following structure is/are ascending from foramen Magnum?
1. Apical ligament of dens.
2. Spinal accessory nerve.
3. Vertebral arteries.
4. All of the above.

Correct answer: 4. All of the above.

Explanation: The foramen magnum transmits the following:
Through the narrow anterior part

Apical ligament of dens.
Vertical band of cruciate ligament.

Membrana tectoria.
Through wider posterior part

Lowest part of medulla oblongata.
Three meninges.

Through the subarachnoid space pass:

Spinal accessory nerves.
Vertebral arteries.
Sympathetic plexus around the vertebral arteries.
Posterior spinal arteries.
Anterior spinal artery.